MELAS inhibit all ETC Complexes EXCEPT:
1. I
2. II
3. III
4. IV

Correct answer: 2. II

Explanation: MELAS (mitochondrial encephalopathy, lactic acidosis, and stroke) MELAS inhibits complex I, III & IV of ETC. It is an inherited condition due to NADH-Q oxidoreductase, Caused by a mutation in mitochondrial DNA Involved in Alzheimer disease and diabetes mellitus. ETC is affected, brain is affected and due to anaerobic metabolism, lactic acidosis occurs.